What is meant by melting of double stranded DNA:
1. Splitting of double strands into single strand
2. Splitting of DNA into fragments
3. Formation of triple helix
4. Separation of bases.

Correct answer: 1. Splitting of double strands into single strand

Explanation: A i.e. Splitting of double strands into single strand.Seperation of double stranded (ds) DNA into single stranded DNAQ is known as denaturation or melting of DNA. It is promoted by increasing temperature or decreasing salt concentration. So increased salt (monovalent cation) concentration increases TmQ.